Drugs causing macular toxicity when given intravitreally?
1. Gentamycin
2. Vancomycin
3. Dexamethasone
4. Ceftazidime

Correct answer: 1. Gentamycin

Explanation: (Refer: AK Khurana Comprehensive Ophthalmology, 6th edition, pg no. 445)Intravitreal aminoglycosides (gentamycin, amikacin) are a reported cause of macular toxicityAminoglycosides induced macular toxicity is thought to be partially due to the gravity-induced settling of drugs on the macula in the supine positionThis may result in a higher concentration of drug locally at the macula.